For untreated Myocardial infarction condition, select the blood or urine value that best distinguishes Myocardial infarction condition from the others. All values are measured after an overnight fast and are compared with those of a normal individual.
1. Increased troponin I
2. Increased blood ketone bodies
3. Decreased creatinine in the urine
4. Decreased blood lactate

Correct answer: 1. Increased troponin I

Explanation: Tissues contain characteristic isozymes or mixtures of isozymes. Enzymes, such as lactate dehydrogenase and creatine kinase (CK), differ from one tissue to another. Lactate dehydrogenase contains four subunits. Each subunit may be either of the heart (H) or the muscle (M) type. Five isozymes exist (HHHH, HHHM, HHMM, HMMM, and MMMM). CK contains two subunits. Each subunit may be either of the muscle (M) or the brain (B) type. Three isozymes exist (MM, MB, and BB). The MB fraction is most prevalent in heart muscle.Troponin I is found in large amounts in muscle cells. When a tissue is damaged, cellular enzymes leak into the blood. Heart muscle will release cardiac troponin I into the blood in response to a heart attack. In the absence of insulin, a person with type 1 DM will behave metabolically like a person undergoing prolonged starvation, except that blood glucose levels will be elevated. Lipolysis in adipose tissue will produce fatty acids, which will be converted to ketone bodies in the liver if the diabetes is left untreated. Because the blood glucose levels are also elevated, the brain continues to use glucose as a fuel, and the ketone bodies accumulate in the blood. Hepatitis and chronic alcoholism damage the liver, which would interfere with the urea cycle, leading to decreased BUN and increased ammonia in the circulation. Renal failure would display reduced creatinine in the urine and elevated creatinine in the blood.